Statement not true about rigor mortis is
1. Appears immediately after death
2. Affects both voluntary and involuntary muscles
3. Indicates time since death
4. Results from fusion of action and myosin filaments

Correct answer: 1. Appears immediately after death

Explanation: First appears in involuntary muscles (within an hour) due to less mass and less glycogen reserve. Involuntary muscles, begins 2-4 hours after death. Persists for about 12 hours and then begins to disappear Takes 12-24 hours to disappear completely